Which is found in DiGeorge's syndrome -
1. Tetany
2. Eczema
3. Total absence of T cells
4. Absent B and T cells

Correct answer: 1. Tetany

Explanation: Digeorge syndrome Digeorge syndrome is an example of a T cell deficiency that results from failure of development of the third and fourth pharyngeal pouches. * Clinical features * Enhanced susceptibility to viral, fungal (mucocutaneous candidiasis) and bacterial infections. * Facial abnormalities : Hypertelorism, abnormal ears, short philtrum and micrognathia. Hypocalcemic tetany due to failure of parathyroid development. Congenital heart diseases eg fallot's tetralogy. * Absence of a normal thymus. * Serum immunoglobulin concentration are frequently normal, but antibody responses, particularly of IgG and IgA isotypes, are usually impaired. * T cell levels are reduced (not total absence). * B cell levels are normal. REF: Harrison book of internal medicine 21ST EDITION